The age by which most of the normal babies know their gender is –
1. 1 year
2. 2 years
3. 3 years
4. 4 years

Correct answer: 3. 3 years